A chronic hypertensive pregnant female with BP controlled using antihypertensives should be delivered at:
1. 38-39 weeks
2. 37-39 weeks
3. 36-37 weeks
4. 35-36 weeks

Correct answer: 2. 37-39 weeks

Explanation: Delivery is the only definitive treatment for preeclampsia and usually labour is induced at 37-38 weeks. Refet page no 263 of Text book of obstetrics,sheila balakrishnan,2 nd edition,